IV Metronidazole is used in the treatment of:
1. Pseudomembranous enterocolitis
2. Anaerobic bacterial infection
3. Amoebiasis
4. All of the above

Correct answer: 4. All of the above

Explanation: Ans. D i.e. All of the above